Gestational trophoblastic neoplasia includes all except
1. Complete hydatidiform mole
2. Invasive mole
3. Choriocarcinoma
4. Placental site trophoblastic tumor

Correct answer: 1. Complete hydatidiform mole

Explanation: The malignant forms of the gestational trophoblastic disease are termed gestational trophoblastic neoplasia (GTN). These include invasive mole, choriocarcinoma, placental site trophoblastic tumour, and epithelioid trophoblastic tumour.Reference: William's Obstetrics; 25th edition, chapter 20; Gestational trophoblastic diseases